Webbing of neck, short stature, increased carrying angle, low posterior hair line, primary amenorrhea and short fourth metacarpal are characteristics of:
1. Klinefelter syndrome
2. Turner syndrome
3. Cri-du-chat syndrome
4. Noonan syndrome

Correct answer: 2. Turner syndrome

Explanation: Ans. Turner syndrome